The boundaries of the inguinal triangle include all of the following, EXCEPT:
1. Lateral border of rectus abdominis
2. Inguinal ligament
3. Inferior epigastric artery
4. Linea alba

Correct answer: 4. Linea alba

Explanation: Inguinal triangle is a region defined by the following structures:Rectus abdominis muscle (medially)Inguinal ligament (inferiorly)Inferior epigastric vessels (superior and laterally)It is the region in which direct inguinal hernias protrude through the abdominal wall.The Hesselbach triangle is bounded by the inguinal ligament, the inferior epigastric vessels, and the lateral border of the rectus muscle. A weakness or defect in the transversalis fascia, which forms the floor of this triangle, results in a direct inguinal hernia. Ref: Deveney K.E. (2010). Chapter 32. Hernias & Other Lesions of the Abdominal Wall. In G.M. Doherty (Ed), CURRENT Diagnosis & Treatment: Surgery, 13e